Which of the following statement about the pathophysiology of mitral stenosis is accurate
1. Patients with mitral stenosis have decreased left atrial pressure.
2. Patients with mitral stenosis generally have an under-loaded left ventricle.
3. The increased pressure gradient between the left atrium and left ventricles results in left ventricular hypertrophy.
4. Diastolic filling of the left ventricle is increased in mitral stenosis because of the increased pressure gradient between the left atrium and left ventricle.

Correct answer: 2. Patients with mitral stenosis generally have an under-loaded left ventricle.

Explanation: The pathophysiology of mitral stenosis involves impaired diastolic filling of the left ventricle because of an obstruction at the level of the mitral valve. This results in a pressure gradient between the left atrium and the left ventricle. Consequently, left atrial pressure rises while the left ventricle is under-filled. As left atrial pressure increases, pulmonary venous return is impaired and pulmonary hypertension with right ventricular failure can occur.